Most common site of peripheral aneurysm
1. Femoral artery
2. Radial artery
3. popliteal artery
4. Brachial artery

Correct answer: 3. popliteal artery

Explanation: . Among peripheral aneurysm popliteal type is the most common one.peripheral aneurysms occurs in descending order of frrequency in popliteal,femoral,subclavian,axillary,and carotid arteries. Refer page no 201 of SRB's manual of surgery 5th edition.